Drug of choice for anaphylactic shock is:
1. Adrenaline.
2. Dopamine.
3. Non-adrenaline.
4. All of the above.

Correct answer: 1. Adrenaline.

Explanation: Dopamine is the drug of choice for cardiogenic shock with oliguric renal failue.